Flexion of knee joint is caused by -
1. Rectusfemoris
2. Vastus medialis
3. Hamstrings
4. Vastus lateralis

Correct answer: 3. Hamstrings

Explanation: Ans. is 'c' i.e., Hamstringso Hamstrings (semimembranosis, semitendinesus and biceps femoris) are felxors of knee,o Other three options are part of quadriceps an extensor of knee.Muscles producing movements at the knee jointMovementPrincipal musclesAccessory' musclesA. Flexion1. Biceps femoris2. Semitendinosus3. Semimembranosus1. Gracilis2. Sartorius3. PopliteusB. ExtensionQuadriceps femorisTensor fasciae lataeC. Medial rotation of flexed leg1. Popliteus2. Semimembranosus3. Semitendinosus1. Sartorius2. GracilisD. Lateral rotation of flexed legBiceps femoris--